Which of the following is true about pleomorphic adenoma except ?
1. Most common tumor of salivary glands
2. Has a tendency to invade perineural space
3. Most commoly involves the parotid gland
4. It is also called a mixed tumor

Correct answer: 2. Has a tendency to invade perineural space

Explanation: Pleomorphic adenoma This is the Commonest neoplasm of Salivary glands. The most Common salivary gland involved is Parotid - represent about 60% tumors in the parotid. o Submandibular and minor salivary glands may also be involved rarely. Pleomorphic adenoma - Parotid > Submandibular > minor salivary glands. They are derived from a mixture of ductal (epithelial ) and myoepithelial cells and therefore they show both epithelial and mesenchymal differentiation - Also called mixed tumor.